Stain not used for lipids?
1. Oil red O
2. Congo red
3. Sudan III
4. Sudan black

Correct answer: 2. Congo red

Explanation: Ans. (b) Congo redRef: Robbin's pathology 9th ed. /354Congo red is used for staining amyloid and not lipidsStains for Lipids* Oil red O* Sudan black* Sudan III and IV* Filipin* Schultz* Nile blue sulfate